The concentration of hydrocioinone for treating cholasma should be-
1. 1%
2. lto 2 %
3. 2 to 5 %
4. 10%

Correct answer: 3. 2 to 5 %

Explanation: C i.e. 2-5% - Light brown butterfly rash without systemic involvement in pregnancy and on OCPQ is seen in chloasma. Whereas erythematous (red) phostosensitive butterfly rash with multisystem (multi organ) involvement like arthritis, nephritis, Raynaud's phenomenon etcQ is seen in SLE. - Hydroquinone, the most effective topical bleaching agent is used in 2-4% concentration in chloasma. Chloasma/Melasma/Mask of SLE pregnancy - Dusky red (erythematous) - Light brown macules (rash or photosensitive pigmentationQ. pigmentation)Q - Associated with multi-organ - Associated with pregnancy (most involvement like common), OCPQ, menstrual arthritis/arthralgia, nephritis, disturbance in unmarried girls & raynaud's phenomenon etcQ. persistent anemia - More common in females - More common in females on bridge involving bridge of nose & of nose & cheeks (malar eminence). cheeks i.e. malar eminence Linear area just above eyebrows is (malar butterfly rash) usually involved and area between nose & upper lip and skin around eyes as a rule spared. Photodermatitis - In farmers, sailors, labourer (in professions, which keep them in sun for prolonged periods) - Scally read lesionsQ in sun exposed areas Rosacea Recurrent episodes of bright red erythema and hot flushes on face, mostly in females nearing their menopause, triggered by emotional tension, hot spicy food & beverages. Later on erythema becomes persistant and telengectasia appears on nose, cheeks and chin.